Which among the following is NOT true about type-II pneumocytes?
1. Secrete surfactant
2. Are epithelial cells
3. Secrete by endocytosis
4. Lamellar bodies are formed

Correct answer: 3. Secrete by endocytosis

Explanation: Type II cells are epithelial cells, also called type II alveolar cells, type II pneumocytes, great alveolar cells, and alveolar septal cells. They contain many mitochondria and a well-developed Golgi complex, but they are mainly characterized by the presence of large, membrane-limited lamellar (multilamellar) bodies. These exhibit many closely apposed parallel membranes (lamellae) and contain phospholipids, glycosaminoglycans, and proteins. Type II cells are secretory cells. Their secretory product, pulmonary surfactant, is assembled and stored in the lamellar bodies, which also carry it to the apical cytoplasm. There, the bodies fuse with the plasma membrane and release surfactant onto the alveolar surface. Ref: Paulsen D.F. (2010). Chapter 17. Respiratory System. In D.F. Paulsen (Ed), Histology & Cell Biology: Examination & Board Review, 5e.